Mode of injury of a cotton fracture is
1. Adduction and external rotation
2. Abduction and internal rotation
3. Abduction and external rotation
4. Adduction and internal rotation

Correct answer: 3. Abduction and external rotation

Explanation: Cotton fracture is due to abduction and external rotational injury. It is also known as TRIMALLEOLAR FRACTURE. There is fracture of the medial,lateral and posterior malleolus. It more often requires open reduction and internal fixation.